Which of the following nerve is most commonly damaged during wrist slash injury?
1. Ulnar nerve
2. Radial nerve
3. Median nerve - palmar cutaneous branch
4. Median nerve

Correct answer: 4. Median nerve

Explanation: The median nerve lies very superficially at the wrist, in the interval between the tendons of the flexor digitorum superficialis and the flexor carpi radialis muscles just proximal to its entry under the flexor retinaculum in the hand. During wrist slash injuries, the other nerve which could be damaged is ulnar nerve, if the injury was extended more medial.